Stimulates the production of IGF.
1. LH
2. PRL
3. TSH
4. GH

Correct answer: 4. GH

Explanation: GH stimulates the release of IGF by the liver and other tissues. The other hormones listed do not stimulate IGF release from any tissue.